Drug of choice for MRSA infection -
1. Ciprofloxacin
2. Oxacillin
3. Vancomycin
4. Clindamycin

Correct answer: 3. Vancomycin

Explanation: Ans. is 'c' i.e., Vancomycin Methiciiiin resistance staphylococcus aureus (MRSA)o MRS A is a bacterium responsible for several difficult-to-treat infections in humans.o It may also be referred to as multi-drug resistant staphylococcus aureus or oxacillin resistant staphylococcus aureus (ORSA).o MRSA is by definition any strain of staphylococcus aureus that is resistant to a b-lactams including penicillin, methiciiiin, cloxacillin, nafcillin, oxacillin and cephalosporins.o Resistance develops due to alteration in transpeptidase (penicillin binding protein) on which all b-Iactam antibiotic act: so, MRSA is resistant to all b-lactam antibiotics,o MRSA (especially community acquired MRSA: CA-MRSA) display enhanced virulence, spreading more rapidly and causing disease much more severe than traditional staphylococcus aureus.o Vancomycin is the DOC for MRSA.Drugs for MRSA -Vancomycin (DOC),TMP-SMXMittocyclinCiprofloxacinLinezolidLevofloxacinQuinopristin/dalfopristinDaptomycinOritavaccinTigecyclinTeicoplaninCotrimoxazole